Mark the false statement about Pulmonary artery hypertension .
1. Mutations in the gene encoding bone morphogenetic protein receptor type I
2. Large a wavesleading toelevated JVP
3. In severe PAH, early Pulmonic regurgitation can occur
4. On Histopathology ,Plexiform arteriopathy is seen

Correct answer: 1. Mutations in the gene encoding bone morphogenetic protein receptor type I

Explanation: TB- Caseous necrosis Histoplasmosis - Granuloma PAH - Plexiform arteriopathy - Blood vessel is showing Luminal obstruction It is one of the most commonest infection developing in PAH actually happens to be HIV. also know: Mutations in the gene encoding the bone morphogenetic protein receptor type II (BMPR2) are the commonest genetic cause of pulmonary arterial hypertension.